A patient of thrombosis of veins has been receiving coumarin therapy for three years. Recently she developed bleeding tendency. How will you reverse the effect of coumarin therapy?
1. Protamine injection
2. Vit K injection
3. Infusion of fibrinogen
4. Whole blood transfusion

Correct answer: 2. Vit K injection

Explanation: Ans. (B) Vit. K injection(Ref: KDT 8/e p661,662)Vitamin K is used to reverse bleeding tendency (raised INR) in warfarin overdose whereas fresh frozen plasma is treatment of choice for bleeding due to warfarin.